A total of 5000 patients of glaucoma are identified and surveyed by patient interviews regarding family history of glaucoma. Such a study design is called-
1. Case series report
2. Case control study
3. Clinical trial
4. Cohort study

Correct answer: 1. Case series report

Explanation: Case series report: A case series report is a descriptive study where in more than one patients having a particular disease are studied. No cause related analysis or hypothesis testing is involved. Case control study: Backward looking/ retrospective study in which multiple risk factors are studied together. Odd's ratio can be calculated. Cohort study: Forward / prospective study in which multiple outcomes can be studied together. Incidence & relative risk can be calculated.